Which of the following wires is better choice if alignment is needed
1. Nitinol wire
2. TMA wire
3. Elgiloy wire
4. Stainless steel wire

Correct answer: 1. Nitinol wire